All are esters EXCEPT:
1. Prilocaine
2. Cocaine
3. Tetracaine
4. Chlorprocaine

Correct answer: 1. Prilocaine

Explanation: Ans. (a) PrilocaineRef: KDT 6th ed. / 352